Frei test which type of hypersensitivity -
1. Type I
2. Type II
3. Type III
4. Type IV

Correct answer: 4. Type IV

Explanation: Ans. is 'd' i.e.. Type IV HYPERSENSITIVITYType I (IgE mediated)Tvpe II (IgG, IgM andcomplement mediated!o Eczemao Blood transfusion reactionso Hay fevero Endhroblastosis fetaliso Asthmao Autoimmune hemolytic anemia or thrombocytopenia or agranulocylosiso Atopyo Urticariao Anaphylactic shocko Pemphigus vulgariso Acute dermatitiso Good pasture syndromeo Theobald smith phenomenono Bullous pemphigoido Pernicious anemiao Prausnitz Kusnter (PK) reactiono Acute rheumatic fevero Diabetes mellituso Casoni's testo Graves diseaseo Schultz-Dale phenomenono Myasthenia gravisType III (IgG, IgM. Comolement and leucocyte mediated)Tvpe IV (Cell mediated)o Local-Arthus reactiono Tuberculin testo Systemic-serum sicknesso Lepromin testo Schick testo Sarcoidosiso Polyarteritis nodosa (PAN)o Tuberculosiso Rheumatoid arthritiso Contact dermatitiso SLEo Granulomatous inflammationo Acute viral hepatitiso Type I lepra reactiono Penicillamine toxicityo Patch testo Hyperacute graft rejectiono Temporal arteritiso Type 2 lepra reaction (ENL)o Jones mote reaction (cutaneous basophilic HSN)o Hypersensitivity pneumonitiso R.A.o Graft rejectiono Infective endocarditiso Fairleys testo Henoch schonlein purpurao Frie's test